Mark the FALSE statement regarding Vincent's angina
1. Most common organism involved is Borrelia vincentii
2. Membrane can be easily removed revealing an irregular ulcer on the tonsil
3. Insidious in onset with fever and intense discomfort in throat
4. Regular tooth brushing is the chief preventive measure

Correct answer: 3. Insidious in onset with fever and intense discomfort in throat

Explanation: Vincent Angina(Trench Mouth) - Progressive painful infection with ulceration, swelling and sloughing off of dead tissue from the mouth and throat due to the spread of infection from the gums -Causative organism:Bacillus fusiformis and Borrelia vincentii - The chief symptoms are painful, swollen, bleeding gums; small, painful ulcers covering the gums and tooth margins; and characteristic fetid breath. The ulcers may spread to the throat and tonsils. Fever and malaise may also be present - It is insidious in onset with less fever and less discomfort in throat - Membrane, which usually forms over one tonsil, can be easily removed revealing an irregular ulcer on the tonsil. - Throat swab will show both organisms typical of disease, namely fusiform bacilli and spirochaetes - Treatment: The infection is readily treated by bed rest, the administration of penicillin or other antibiotics, and the use of antiseptic mouth rinses. Regular tooth brushing is the chief preventive measure.